All are features of meshed graft except
1. Fenestrations allow for egress of wound fluid
2. Better cosmetic appearance
3. Good contour matching of the wound bed by the graft
4. Large surface area can be covered

Correct answer: 2. Better cosmetic appearance

Explanation: Meshed grafts have poor cosmetic appearance due to high secondary contraction.